First carpal bone to ossify?
1. Scaphoid
2. Lunate
3. Capitate
4. Hamate.

Correct answer: 3. Capitate

Explanation: The first carpal bone to ossify is capitate. It is the largest carpal bone , is present centrally & is the first one to ossify . Ossification of carpal bones: